Blood pressure is difficult to measure in a patient with-
1. Mitral stenosis
2. Aortic stenosis
3. Complete heart block
4. Atrial fibrillation

Correct answer: 4. Atrial fibrillation

Explanation: Ans. is 'd' i.e.. Atrial fibrillation o Since patients of atrial fibrillation have an irregularly irregidar pulse the routine oscillo-metric de\>ices would falter on BP measurement and hence the N.I.C.E. (British HTN guidelines) advise the auscultatory> method only.